Total ATP generated per turn of TCA cycle is?
1. 7.5
2. 10
3. 15
4. 20

Correct answer: 2. 10